Risk for postnatal urinary abnormality is severe if Renal pelvic dilatation is ----- in third trimester?
1. 4 to < 7mm
2. 7 to < 9mm
3. 9 to <= 15mm
4. > 15mm

Correct answer: 4. > 15mm

Explanation: Risk for Postnatal Urinary Abnormality According to Degree of Renal Pelvis DilatationDilatationSecond trimesterThird trimesterPostnatal abnormalityMild4 to < 7mm7 to < 9mm12%Moderate7 to <= 10mm9 to <= 15mm45%Severe> 10mm> 15mm88%(Ref: William's Obstetrics; 25th edition)